Which of the following anti-angina drugs act by inhibition of long-chain 3-ketoacyl coenzyme A thiolase?
1. Trimetazidine
2. Ivabradine
3. Ranolazine
4. Nicorandil

Correct answer: 1. Trimetazidine

Explanation: Trimetazidine Antianginal drug that act by inhibiting mitochondrial long-chain 3-ketoacyl coenzyme A thiolase enzyme. Reduced fatty acid metabolism and increased glucose metabolism in myocardium leading to a partial shift from FFA to glucose oxidation in the heart, which provides less ATP but requires less O2 and may therefore be beneficial in ischemia. Efficient in reducing angina and increase exercise tolerance, particularly in patients with diabetes and heart failure.